Bilateral Cold water irrigation of ears response is seen in
1. Upbeat nystagmus and downward movement of eye
2. Down beat nystagmus and upward movement of eye
3. Rotatory nystagmus
4. None

Correct answer: 1. Upbeat nystagmus and downward movement of eye

Explanation: (A) Upbeat nystagmus and downward movement of eye# COLD WATER INDUCES NYSTAGMUS to opposite side and warm water to the same side.> Depending on response to the caloric test, we can find canal paresis or dead labyrinth, directional preponderance, i.e. nystagmus is more in one particular direction than in the other, or both canal paresis and directional preponderance.